All are manifestations of Meniere's disease except -
1. Tinnitus
2. Vertigo
3. Sensorineural deafness
4. Loss of consciousness

Correct answer: 4. Loss of consciousness